Percentage change of cystic glandular hyperplasia turning to malignncy :
1. 0.10%
2. 0. 2%
3. 1%
4. 10%

Correct answer: 3. 1%

Explanation: Ans. is c i.e. 1% Cystic glandular hyperplasia refers to simple hyperplasia without atypia and as I have mentioned in previous question, its chances of progressing to carcinoma are 1%.